Which of the following has poorest oral bioavailability ?
1. Oseltamivir
2. Zanamivir
3. Rimantidine
4. Amantadine

Correct answer: 2. Zanamivir